Drug of choice to treat Toxoplasmosis in first-trimester of pregnancy is
1. Spiramycin
2. Pyrimethamine-Sulphonamide
3. Atovaquone
4. Ivermectin

Correct answer: 1. Spiramycin

Explanation: Compound Drug class Route Mechanism of action Clinical use Comment Spiramycin Macrolide Oral Blocks proteinsynthesis Toxoplasmosis Used to treat pregnantwomen Ref : Paniker's textbook of Medical Parasitology Pgno : 241,242